One of the following ribs articulate directly with sternum except -
1. 2nd rib.
2. 5th rib
3. 4th rib
4. 8th rib

Correct answer: 4. 8th rib

Explanation: Ribs 1 to 7 articulate directly with sternum and are called true ribs.